Hardener among the following is:
1. Sodium sulfite
2. Ammonium sulfite
3. Aluminium salts
4. None of the above

Correct answer: 3. Aluminium salts